True about Russell bodies is/are:
1. Multiple myeloma
2. Intracytoplasmic bodies
3. Eosinophilic
4. All of the above

Correct answer: 4. All of the above

Explanation: Ans. d (All). (Ref. Robbins, Pathologic Basis of Disease, 6th/pg.41)SR.NO.PATHOLOGIC FEATURECLINICAL CONDITION j1Aschoff bodiesRheumatic fever2Asteroid bodiesSporotrichosis3Buniana bodiesALS4Calt-exner bodiesGranulosa cell tumor of ovary5Councilman bodiesToxic/viral hepatitis/yellow fever6Cowdry bodies (type A)Cowdry bodies (type B)HerpesPolio and Adeno viral infection7Donovan bodiesGranuloma inguinale6Ferruginous bodiesAsbestosis7Gamma gandy bodies'Congestive splenomegaly8Glomeruloid bodies'Endodermal sinus tumor9Gaurnieri bodiesVaccinia10Hiramani bodiesAlzeimer's disease11Halberstaeder-Prowazek (HP) bodiesTrachoma12HX bodies (Berbeck's granules)Langerhan cell histiocytosis X13Lip Schutz bodiesHerpes simplex14Livinthal Cole Lillie bodiesPsittacosis15Lewis bodiesParkinsonism16LD bodiesLeishmaniasis17Mallory hyaline bodiesAlcoholic liver disease,Indian childhood cirrhosis,Primary Biliary Cirrhosis18Miyagawa bodiesLGV19Michaelis Gutt mann bodiesMalakoplakia20Negri bodiesRabies21Psammoma bodiesTransitional meningiomaPapillary carcinoma thyroidSerous cystadenocarcinoma of ovary22Russel bodies (Cytoplasmic)Multiple myeloma23Dutcher bodies (Nuclear)Multiple myeloma24Sclerotic bodiesChromoblastomycosis25Schauman bodiesSarcoidosis26Verocay bodiesNeurilemmoma27Zebra bodiesNiemann Pick diseaseMULTIPLE MYELOMA# Plasma cells > 10%# "Punched-out" and "rain-drop" lytic bony lesions and osteoporosis# Age: 60-70 years# Bence Jones proteinuria# Tom Harsfall protein# Russel bodies (intracytoplasmic eosinoplilic antibodies)# Hypercalcemia# Raised ESR# IgA spike greater than 3.5 g/dL suggests myeloma# Monoclonal spike in b or g globulin region# High risk of infection with pneumococcus and H.influenzae# "Cold spots" on Bone scan.